What is the smell of mummified body?
1. Odourless
2. Putrid
3. Pungent
4. Offensive Ammonical odour

Correct answer: 1. Odourless

Explanation: (A) Odourless[?]Mummification:oMummification is a modification of putrefaction.o"Mummified body is practically odourless".oMummified body will smell odourless, this is because the internal organs are removed (which are the biggest factors in the decay process) and replaced with natron (which dries them out, preventing 'proper' decay).oDehydration or drying & shrivelling of cadaver occurs from the evaporation of water,oPreservation of natural appearances and features of body.oMummification begins in exposed parts of the body - like face, hands & feet followed to entire body & internal organs.oMummified Skin is shrunken & contracted, dry, brittle, leathery & rusty-brown in colour, stretched tightly across anatomical prominences.oMummified tissues are dry, leathery and brown in colour. The face will be greatly distorted due to shrinkage of soft tissues.oMummified internal organs shrunken, hard, dark-brown and black and become a single mass or may disappear. Collagen, elastic tissues, cardiac & skeletal muscle, cartilage, and bone.oMummified body loses weight, becomes thin, stiff and brittle.oFactors for production of mummification: -Absence of moisture in the air-Continuous action of dry or warmed air.-Marked dehydration before death favours development of mummification.-Mummification favoured by Chronic arsenic or antimony poisoning.-Mummification occurs in body buried in shallow graves in dry sand soils (hot dry winds in summer)oTime required for complete mummification varies from 3 months to 1 year.[?]Medico-legal impoartance of Mummification:-Establish the identity (when the process involves the face, the features are well preserved).-Cause of death can be determined (injuries are recognised).-Time since death can be estimated.Other Options[?]Adipocere (Suponificaiton)-It is a modification of putrefaction, in which fatty tissues of the body change into a substance 'adipocere' & commonly in bodies immersed in water or in damp, warm environment.-Adipocere is due to gradual hydrolysis and hydrogenation of pre-existing fats.-Adipocere has a distinct offense or sweetish smell & penetrating ammonical odour noticed during early stages.VARIOUS ODOURS NOTICED IN THE BODY[?]Smell about the mouth and nose: Substances which may be recognized by their odour are-Garlick-like: Phosphorus, arsine gas, arsenic (breath and perspiration), thallium, selenium, dimethylsulphoxide, tellurium, parathion, malathion.-Sweet or fruity: Ethanol, chloroform, nitrites,-Acrid: Paraldehyde, chloral hydrate.-Rotten eggs: Hydrogen sulphide, Mercaptans, Disulfiram.-Fishy or musty: Zinc phosphide.-Other substances are: Cyanides, Phenol, Opium, Ether, Camphor, etc.